The accurate diagnostic aid in renal artery stenosis is -
1. Selective renal angiography
2. Ultrasound
3. CT scan
4. IVU

Correct answer: 1. Selective renal angiography